True about delirium are all except -
1. Preserved attention
2. Disturbed sleep
3. Disorientation
4. Hallucination

Correct answer: 1. Preserved attention

Explanation: There is impaired attention in delirium.